Ehrlich phenomenon is seen in -
1. Myobacterium T.B.
2. Proteus
3. Staphylococcus
4. Corynebacterium

Correct answer: 4. Corynebacterium